The position of internal bevel incision for gingivectomy surgeries is at
1. 3mm coronal to mucogingival junction
2. 3mm apical to mucogingival
3. At the mucogingival junction
4. 1.5 mm apical to mucogingival junction

Correct answer: 1. 3mm coronal to mucogingival junction

Explanation: With a #15 Bard-Parker blade, the initial scalloped internal bevel incision is made at least 3 mm coronal to the mucogingival junction, including the creation of new interdental papillae.
The same blade is used to thin the gingival tissues in a buccolingual direction to the mucogingival junction. At this point the blade establishes contact with the alveolar bone, and a full-thickness or a split-thickness flap is elevated.